Sexual asphyxia is associated with:
1. Sadism
2. Masochism
3. Fetichism
4. Vouyerism

Correct answer: 2. Masochism

Explanation: B i.e. Masochism Sexual asphyxia (Auto erotic hanging) is usually seen in masochism & transvestismQ